Anaerobic glycolysis occurs in all places except
1. Muscles
2. RBCs
3. Brain
4. Kidney

Correct answer: 3. Brain

Explanation: Ans. is 'c' i.e., Brain There are two types of glycolysis : - Aerobic glycolysis : - It occurs when oxygen is plentiful and the final product is pyruvate, i.e., final step is catalyzed by pyruvate kinase (see the cycle above). Which is later converted to acetyl CoA by oxidative decarboxylation. There is net gain of 7 ATPs. Acetyl CoA enters TCA cycle. Anaerobic glycolysis : - It occurs in the absence of oxygen. The pyruvate is fermented (reduced) to lactate in single stage. The reoxidation of NADH (formed in the glyceraldehyde-3-phosphate dehydrogenase step) by respiratory chain is prevented as same NADH is utilized at lactate dehydrogenase step. So, there is no net production of NADH. Thus, there is net gain of 2 ATP only. Unlike pyruvate which is converted to acetyl CoA to enter into krebs cycle, lactate cannot be further utilized by further metabolic pathways. Thus, lactate can be regareded as dead end in glycolysis. Anaerobic glycolysis occurs in exercising skeletal muscle, RBCs, lens, some region of retina, renal medulla, testis and leucocytes.